Which of the following mycobacteria can cause disease in HIV+ve patient with a CD4 count of 600/ cu.mm?
1. M. tuberculosis
2. MAC
3. M. chelonei
4. M. fortuitum

Correct answer: 1. M. tuberculosis

Explanation: Ans. is 'a' i.e., M. Tuberculosis . MAC infection occurs when CD4 + T cells counts are < 50/ml, in contrast M. tuberculosis infection develops early in the course with CD4 T cells counts > 300/ml.